Stellwagg's sign of graves disease is
1. Difficulty in eversion of upper lid
2. Infrequent blinking
3. Fullness of eyelids
4. Lid lag

Correct answer: 2. Infrequent blinking

Explanation: Lid lag - Von graefe's sign.
Fullness of eyelids - Enroth's sign.